In which of the following condition paradoxical pupillary reaction is present?
1. Syphilis
2. Tumors of quadrigeminal region
3. Sleeping individuals who have taken barbiturates
4. All of the above

Correct answer: 4. All of the above

Explanation: Paradoxical pupillary reaction is present in patients with syphilis, tumors of quadrigeminal region, sleeping individuals who have taken barbiturates and in trauma. In paradoxical pupillary response either: The pupil dilate with near vision or constricts in distant vision The pupil dilates on exposure to light or constricts when light is withdrawn Ref:Textbook of Ophthalmology edited by Sunita Agarwal page 308